Transplantation of the hosts own tissue is known as -
1. Isograft
2. Allograft
3. Xenograft
4. Autograft

Correct answer: 4. Autograft

Explanation: The graft is the tissue or organ transplanted. An organ or tissue taken from an individual and grafted on him/herself is called autograft. Reference : Anathanarayan & paniker's 9th edition, pg no:183